A 28 year old female presents with complains of reduced sleep with disorganized behaviour for 9 months. She feels there is a camera fixed behind her head which always follows her. Which of the following is likely diagnosis -
1. Psychotic depression
2. Paranoid schizophrenia
3. Delusional disorder
4. Insomnia

Correct answer: 2. Paranoid schizophrenia

Explanation: The patient in question has : -


Symptoms for 9 months
Disorganized behaviour
Delusions (Camera is fixed behind her head)


So, the patient fits into the diagnostic criteria of schizophrenia, i.e. two or more following symptoms (i) Delusions; (ii) Hallucinations; (iii) Disorganized speech; (iv) disorganized or catatonic behavior; (v) Negative symptoms.